white plaque in eye due to vitamin A deficiency:
1. Pink spot
2. White spot
3. Bitot spot
4. Herald spot

Correct answer: 3. Bitot spot